What is the recommended level of chlorine in Swimming pool?
1. >0.5 mg/L
2. >0.8 mg/L
3. >1 mg/L
4. >5 mg/L

Correct answer: 3. >1 mg/L

Explanation: Residual chloride levels in: (i.e. after the contact period of one hour) Drinking water- >/= 0.5 mg/L or ppm Swimming pools- >/= 1.0 mg/L To kill Cyclops in Drinking water - >/= 2.0 mg/L Residual chlorine level can be measured using chloroscope/ Orthotoluidine test.